Example for Live vaccine is
1. Rubella and Yellow fever
2. Polio and TAB
3. Diptheria and Tetanus
4. Hepatitis A and Rabies

Correct answer: 1. Rubella and Yellow fever

Explanation: Live vaccines They initiate infection without causing any injury or disease. The immunity following live Vaccine administration therefore parallels that following natural infection though it may be of a lower order. The immunity lasts for several years but booster doses may be necessary. Live vaccines may be administered orally (as in with the sabin Vaccine for poliomyelitis) or parenteral (as with the Measles Vaccine) other examples are Rubella and yellow fever Ref : Ananthanarayana textbook of Microbiology 9th edition Pgno : 83